The major blood supply to the testes comes through the:
1. Hypogastric arteries.
2. Pudendal arteries.
3. Internal spermatic arteries.
4. External spermatic arteries.

Correct answer: 3. Internal spermatic arteries.

Explanation: Testis arise from portions of the wolffian bodies on the genital ridge close to the kidneys; therefore, the major blood vessels from the testes arises from the aorta just below the renal arteries and are termed the internal spermatic arteries. Secondary blood supply to the testes comes from the artery of the vas deferens, and a small branch from the epigastric artery termed the external spermatic artery forms during descent of the testes from the abdomen to the scrotum. The surgical importance of this phenomenon is that operations involving the region of the renal arteries may sacrifice the internal spermatic artery.